A guy driving a car fast suddenly slams on the brakes. He was wearing a seat belt. The most likely organ affected is:
1. Liver
2. Spleen
3. Mesentery
4. Kidney

Correct answer: 3. Mesentery

Explanation: Ans. (c) MesenteryRef: Bailey & Love 26th edJ982* Seat belt syndrome is characterized by tear of mesentery on sudden deceleration while the patient is using a seat belt.* In the absence of seat belt being worn by the car passenger, the chest of the victim would slam into the steering wheel resulting in hemo-pericardium and a resultant high mortality.